Maximum duration within which a consumer should initiate dispute case?
1. 1 year
2. 6 months
3. 2 years
4. 5 years

Correct answer: 3. 2 years

Explanation: According to consumer protection act there is a limitation period to which a plaintiff can file a case within 2 years. Beyond two years he is not eligible to file a case against the public and government service officials.